Treatment with anti-hypertensive drug spironolactone leads to formation of spironolactone bodies in:
1. Adrenal cortex
2. Adrenal medulla
3. Renal cortex
4. Renal medulla

Correct answer: 1. Adrenal cortex

Explanation: Aldosterone-producing adenomas Solitary, small (<2 cm in diameter), well-circumscribed lesions Bright yellow on cut section and, surprisingly, are composed of lipid-laden cortical cells that more closely resemble fasciculata cells than glomerulosa cells (the normal source of aldosterone). Hallmark feature is presence of eosinophilic, laminated cytoplasmic inclusions, known as spironolactone bodies, found after treatment with the antihypertensive drug spironolactone. Do not suppress ACTH secretion. Adjacent adrenal cortex and that of the contralateral gland are not atrophic.